In a given case if skin over the swelling is fixed to the swelling following are the DDs EXCEPT
1. Sebaceous cyst
2. Lipoma
3. Papilloma
4. Epithelioma

Correct answer: 2. Lipoma

Explanation: In case of a lipoma, the skin over the swelling is free. The swellings which originate from the skin like papilloma, epithelioma, sebaceous cyst etc. will be obviously fixed to the skin. They will move invariably along with the skin unless they are fixed to underlying structures by malignant infiltration. Reference : page 32 A manual on clinical surgery Das 10th edition